Which of the following type of cell is involved in myelination of the CNS?
1. Microglia
2. Astrocytes
3. Macrophages
4. Oligodendrocytes

Correct answer: 4. Oligodendrocytes

Explanation: Oligodendroglial cells are a type of neuroglial cells, they myelinate the nerve fibre of the central nervous system. The formation of a myelin sheath is the result of a process from an oligodendrocyte spiralling around an axon so that the cytoplasm is extruded until the opposite membranes meet, thus forming a multi-layered lipoprotein coat with a node of Ranvier at each end. It has multiple cytoplasmmic processes and myelinate several axons at the same time.Must know: Peripheral nerves are myelinated from the schwann cells. Loss of myelin, known as demyelination, results in disturbance of the ability to transmit a nerve impulse through the demyelinated segment and this has serious consequences for function. Damage to one oligodendrocyte, therefore, can result in loss of myelin from many axons, whereas damage to a Schwann cell only results in loss of myelin from a single axon. Good to know: Tracts in the nervous system get myelinated at about the time they start to function.